Mental foramen is located near:-
1. First premolar of the mandible
2. Second molar of the mandible
3. Canine of mandible
4. Canine of maxilla

Correct answer: 1. First premolar of the mandible

Explanation: Ans. is 'a' i.e. First premolar of mandible ." The mental foramen lies below the interval between the premolar teeth." -BDC, p. 26.